TSH is produced by:
1. Anterior pituitary
2. Post pituitary
3. Hypothalamus
4. Thyroid gland

Correct answer: 1. Anterior pituitary

Explanation: Ans. (a) Anterior pituitaryRef: Guyton physiology 11th Ed. / 907* Thyroid stimulating hormone is secreted by anterior pituitary after getting stimulus by TRH (thyrotropin releasing hormone) from hypothalamus.* Please refer to above table